A 5yr old male child presented to the clinic with HISTORY of recurrent infections, the child had rashes as shown below Routine blood investigations revealed the patient had low platelets which of the following is the probable diagnosis in the kid
1. Job syndrome
2. WisKott Aldrich syndrome
3. HSP
4. Measles

Correct answer: 2. WisKott Aldrich syndrome

Explanation: WISKOTTALDRICH SYND. WASP gene mutation more in boys low PLATELET conent DECREASED immune response to polysaccharide Ag REF : OP GHAI 9TH ED,HARRISONS 21ST ED